Which of the following aminoacid in a protein is involved in urea cycle and is required for synthesis of NO?
1. Arginine
2. Histidine
3. Tryptophan
4. Lysine

Correct answer: 1. Arginine

Explanation: Ans. A. ArginineFallowing are required for Nitric Oxide (NO) synthesis: Arginine, NO synthase, Ca++_and NADPH.Urea cycle: